Vagabond's disease is
1. Pediculosis corposis
2. Scabies
3. Eczema
4. Ringworm

Correct answer: 1. Pediculosis corposis

Explanation: Pediculosis Corporis Etiology:- P. humanus corporis. Transmission:- infested bedding or clothing. Predisposing factors:- Poor hygiene, Social deprivation, Intellectual disability. Unhygienic, socially deprived (so called Vagabond's disease), and mentally challenged. Clinical features:- Symptoms:- Severe and widespread itching on the trunk. Pus discharge and eczematization Signs:- Self-neglect is striking. Linear excoriations often covered with hemorrhagic crusts. Secondary infection and eczematization frequent. Persistent pigmentation and lymphadenopathy sometimes seen in chronic cases. Nits (frequently) and adults (less frequently) are found on the inner seams of clothings. Ref:- Neena khanna; pg num:-339,340